Elation is controlled by
1. Limbic system
2. Frontal lobe
3. Temporal lobe
4. Occipital lobe

Correct answer: 1. Limbic system

Explanation: Elation (moderate elevation of mood): A feeling of confidence and enjoyment, along with an increased psychomotor activity. Elation is classically seen in mania. Reference: A short textbook of psychiatry by Ahuja, page 70. Emotion derives from basic drives, such as feeding, sex, reproduction, pleasure, pain, fear, and aggression, which all animals share. The neuroanatomical basis for these drives appears to be centered in the limbic system. Reference: Synopsis of Psychiatry, page 13.